Which of the following is true regarding precocious puberty:
1. Sexual maturity is attained early
2. Mental function is increased
3. No reproductive function
4. Body proportions are enlarged

Correct answer: 1. Sexual maturity is attained early